Which of the following statement about telomerase is true
1. Has RNA polymerase activity
2. Causes carcinogenesis
3. Present in somatic cells
4. Absent in germ cell

Correct answer: 2. Causes carcinogenesis

Explanation: Ref robbins 9/e p67